All are features of Kerley A lines except?
1. Prominent Interlobular Septa
2. Due to lymphatic engorgement and edema of septa
3. Located at Base of Lungs
4. Seen In CHF

Correct answer: 3. Located at Base of Lungs

Explanation: *Kerley A lines are Perihilar Lines *Kerley B lines are thin horizontal parallel lines perpendicular to pleura at base of Lung. Kerley C lines are neither central nor peripheral. They are 2-3 cm long. They do not radiate away from the hila either.